All are disorders due to peroxisomal abnormalities except?
1. Pfeiffer syndrome
2. Zellweger syndrome
3. Hyperoxaluria type 1
4. Acatalasemia

Correct answer: 1. Pfeiffer syndrome

Explanation: Peroxisome is an organelle involved in the metabolism of many molecules including fatty acids, purines and amino acids. It is bounded by a single membrane and contains more than 50 enzymes. Pfeiffer syndrome is due to mutations in the gene encoding fibroblast growth factor receptor 1 (FGR1). It is a craniosynostosis syndrome.